Which of the following are the special laboratory conditions needed to recover C. jejuni
1. 37degC (98.6degF) anaerobic on blood agar plates
2. 37degC (98.6degF) aerobic on blood agar plates
3. 42degC (107.6degF) microaerophilic on Skirrow medium
4. 42degC (107.6degF) aerobic on Skirrow medium

Correct answer: 3. 42degC (107.6degF) microaerophilic on Skirrow medium

Explanation: The isolation and identification of C. jejuni can be achieved using special culture characteristics. Three requirements must be met. First, a selective medium is needed. There are several widely used selective media: Skirrow's medium uses vancomycin, polymyxin B, and trimethoprim; other selective media contain cefoperazone, other antimicrobials, and inhibitory compounds. The selective media are suitable for isolation of C. jejuni at 42oC (107.6degF); when incubated at 36-37oC (96.8-98.6degF), other Campylobacters and bacteria may be isolated. Finally, incubation must be in an atmosphere with reduced oxygen and added carbon dioxide. The colonies appear to be colorless or gray and may be watery and spreading or round and convex.